All of the following statements about prenatal steroids are true except -
1. They cause 50% reduction in respiratory distress syndrome and intra-ventricular haemorrhage
2. These are advocated to mothers at risk of pre term delivery at 24-34 weeks of gestation.
3. These can be safely administered to mothers with hypertension or diabetes.
4. These can be given even in the presence of chorioamnionitis clinically

Correct answer: 4. These can be given even in the presence of chorioamnionitis clinically

Explanation: Ans. is 'd' i.e., These can be given even in the presence of chorioamnionitis clinically